Which of the following teeth is most commonly associated with eruption sequestrum?
1. Permanent second premolar
2. Permanent second molar
3. Permanent first molar
4. Permanent first premolar

Correct answer: 3. Permanent first molar

Explanation: The eruption sequestrum is seen occasionally in children at the time of the eruption of the first permanent molar.
Starkey and Shafer have described the sequestrum as a tiny spicule of nonviable bone overlying the crown of an erupting permanent molar just before or immediately after the emergence of the tips of the cusps through the oral mucosa.